Which is NOT a part of basal ganglia
1. Caudate nucleus
2. Thalamus
3. Lenticular nucleus
4. Globus pallidus

Correct answer: 2. Thalamus

Explanation: Basal ganglia: Structural components: Functional components Putamen Globus pallidus Amygdaloid nucleus Caudate nucleus subthalamic nucleus substantia nigra So thalamus being part of diencephalon is not a structural part of basal ganglia.